Appendix of testis is derived from which of the embryonic structures given below?
1. Paramesonephric duct
2. Mesonephric duct
3. Hind gut
4. Cloaca

Correct answer: 1. Paramesonephric duct

Explanation: The appendix testis (or hydatid of Morgagni) is a vestigial remnant of the Mullerian duct (Paramesonephric Duct), present on the upper pole of the testis and attached to the tunica vaginalis. It is present about 90% of the time.